Essential fructosuria is due to deficiency of
1. b-galactosidase
2. Aldolase-B
3. Fructokinase
4. Aldose reductase

Correct answer: 3. Fructokinase

Explanation: Fructosuria is a benign metabolic defect due to deficiency of fructokinase. There is no abnormality in other than excretion of fructose in urine.Ref: DM Vasudevan, 7th edition, page no: 138